"Split" laceration is seen in:
1. Blunt tangential impact
2. Blunt perpendicular impact
3. Horizontal crushing
4. Impact by sharp objects

Correct answer: 2. Blunt perpendicular impact

Explanation: Blunt perpendicular impact